Most potent stimulator of naive cell is?
1. Mature dendritic cell
2. Follicular dendritic cell
3. Macrophages
4. B cell

Correct answer: 1. Mature dendritic cell

Explanation: Mature dendritic cell fig . Dendritic cells and dendrite cells derived cytokines are the most potent stimulator for proliferation of Naive T Naive T cells are newly produced T cells. Mature B and T cells before antigenic exposure are called naive B and cells. T cells respectively. These cells respond to the newly encountered pathogen, containing antigens, which the immune system has not processed before. The naive T cell activation and proliferation create an acquired immunity to the newly encountered pathogen. Sequence of events in activation of naive B cells and T cells respectively Immature dendritic cells in the epidermis are called langerhan cells. These immature dendritic cells capture the antigen in the epidermis. After capturing the antigen these cells secrete cytokines. These cytokines cause loss of adhesiveness of dendritic cells. Dendritic cells separate from each other and migrate into lymphatic vessels. In lymphatic vessels maturation of dendritic cells take place. These mature dendritic cells reach naive T cells in the lymph nodes and present antigen to these cells and activate them.